The endotoxin of the following gram-negative bacteria does not play any part in the pathogenesis of the natural disease -
1. Escherichia coli
2. Klebseilla spp.
3. Vibrio cholerae
4. Pseudomonas aeruginosa

Correct answer: 3. Vibrio cholerae